"Darting motility" is shown by -
1. Proteus
2. Serratia
3. Vibrio
4. E. coli

Correct answer: 3. Vibrio

Explanation: Ans. is 'c' i.e., Vibrio . Darting motility --1 V. cholerae . Stately motility --1 Clostridia . Tumbling motility --k Listeria (at 20-25degC) . Lashing motility --). Borrelia . Cork screw motility --0. T. pallidum . Gliding motility --1 Mycoplasma .Swarming --1 Proteus mirabilis, P. vulgaris, B. cereus, Cl. tetani